All of the following are seen in asbestosis except ?
1. Diffuse alveolar damage
2. Calcify pleural plaques
3. Diffuse pulmonary interstitial fibrosis
4. Mesotheliomas

Correct answer: 1. Diffuse alveolar damage

Explanation: Ans. is 'a' i.e., Diffuse alveolar damage